Inter globular dentin results due to:
1. Failure of coalescence of calcospherites
2. Fracture of the dentin
3. Artifact in light microscopy
4. Disturbance in dentinal tubules

Correct answer: 1. Failure of coalescence of calcospherites